The following are involved in protein folding:
1. Rough endoplasmic reticulum
2. Smooth endoplasmic reticulum
3. Golgi apparatus
4. All

Correct answer: 1. Rough endoplasmic reticulum

Explanation: Rough endoplasmic reticulum has specific proprote called chaperons They help in protein folding Ref:Guyton and Hall textbook of medical physiology 12th edition ,page number:10,11,12